All are features of organophosphorus poisoning, except:
1. Mydriasis
2. Bradycardia
3. Lacrimation
4. Sweating

Correct answer: 1. Mydriasis

Explanation: Ans. Mydriasis